The afferent impulses of cremastric reflex are transmitted through:
1. Genitofemoral nerve
2. Ilioinguinal nerve
3. Pudendal nerve
4. Uiohvpogastic nerve

Correct answer: 1. Genitofemoral nerve

Explanation: Ans: A (Genitofemoral nerve) Ref: Grays Anatomy 40th EdExplanation:Cremastreric reflexThe cremaster muscle derived from internal oblique which suspend the testis and elevates itThe reflex is elicited by lightly stroking the superior and medial part of the thigh in a downward directionThe normal response is contraction of cremaster muscle that pulls the testis on the side strokedIn children this reflex may be exaggeratedIn spine injury involving LI, E2 and torsion testis this reflex may be absentA fie rent-Femoral branch of Genito femoral nerveEfferent-Genital branch of Genito femoral nerve